Severe thiamine deficiency is associated with:
1. Decreased RBC transketolase activity
2. Increased clotting time
3. Decreased RBC transaminase activity
4. Increased xanthic acid excretion

Correct answer: 1. Decreased RBC transketolase activity

Explanation: Ans. A Decreased RBC transketolase activity(Ref: Harper 31/e page 185)Thiamine is a coenzyme of Erythrocyte transketolase so its activity is decreased if Thiamine deficiency